All are risk factors for endometrial carcinoma except:-
1. Smoking
2. Nulliparity
3. Infertility
4. Tamoxifen

Correct answer: 1. Smoking

Explanation: Some of the predisposing factors for Ca endometrium are: Nulliparity Late menopause Obesity & overweight Diabetes mellitus Unopposed estrogen therapy Tamoxifen therapy Atypical endometrial hyperplasia Lynch II syndrome In Gynecological cancers, smoking is predisposing for Ca cervix & CA Vulva of the basaloid type in younger women.